Softening of the vaginal portion of the cervix:
1. Goodells sign
2. Chadwicks sign
3. Hegar s sign
4. Piskaceks sign

Correct answer: 1. Goodells sign

Explanation: Ans. a. GoodelPs signThe cervix contains more of fibrous tissue and collagen than the muscle fibers.Cervix contains mainly collagen and only 10% of muscle fibers.In late pregnancy and at term, under the influence of prostaglandin, collagenase dissolves collagen into fluid form and renders the cervix soft and stretchable during labor.Extra MileChadwick's sign: In early pregnancy, increased vascularity within the cervix stroma beneath the epithelium creates an ectocervical blue tint that is called as Chadwick sign.Goodells sign: Cervical edema leads to softening of the cervixHegar's sign: Isthmic softening is cervix.